A young patient presents to the ophthalmology clinic with loss of central vision. ERG is normal but EOG is abnormal. Which of the following is the most likely diagnosis?
1. Stargardt's disease
2. Best's Vtielliform Dystrophy
3. Retinitis Pigmentosa
4. Cone-Rod Dystrophy

Correct answer: 2. Best's Vtielliform Dystrophy

Explanation: It is arare, autosomal dominant, gene on chromosome 11 (11q13). It occurs between 5 -15 years of age. Sharply reduced or absent light response in EOG and normal ERG confirms diagnosis. Ref: Ophthalmology: A Pocket Textbook Atlas - Page 356.